Vibration sensation is mediated by
1. Merkel's disc
2. Ruffini's end organ
3. Pacinian corpuscle
4. Meissner's corpuscle

Correct answer: 3. Pacinian corpuscle

Explanation: Ans. (c) Pacinian corpuscle(Ref: Ganong, 25th ed/p. 160)Pacinian corpuscle respond to deep pressure and high frequency fast vibration